Doctrine of res ipsa loquitur means:
1. Fact speaks for itself
2. Medical maloccurrence
3. Common knowledge doctrine
4. Mandatory oral evidence

Correct answer: 1. Fact speaks for itself

Explanation: Ans. Fact speaks for itself